Which of the following adhesion molecules is involved in morphogenesis
1. Osteopontin
2. Osteonectin SPARC
3. Tenascin
4. Thrombospondins

Correct answer: 3. Tenascin

Explanation: ref Robbins 8/e p96 Tenascin C (TN-C) is a glycoprotein that in humans is encoded by the TNC gene. It is expressed in the extracellular matrix of various tissues during development, disease or injury, and in restricted neurogenic areas of the central nervous system. Tenascin-C is the founding member of the tenascin protein family